In villous papillomas of the rectum which is lost -
1. Na+
2. Mg+
3. K+
4. All

Correct answer: 3. K+